Site of lesion in Bitemporal hemianopia is ?
1. Optic nerve
2. Optic tract
3. Optic chiasma
4. Optic radiation

Correct answer: 3. Optic chiasma

Explanation: Ans. is 'c' i.e., Optic chiasma Characteristic defect of central chiasmatic lesion is bitemporal hemianopia. This question has been asked in almost all the examinations. Site oflesion Visual field defect Optic nerveOptic chiasmaOptic tractLateral geniculate bodYOptic radiation (Total)Optic radiation lower fibres (temporal lobe)Optic radiation upper fibres (parietal lobe)Visual cortex (anterior occipital cortex)Occipital cortex tiP BlindnessBitemporal hemianoPiaIncongruent homonymous hemianopiaHomonymous hemianoPiaHomonymous hemianopia, sornetimes with macular sparinqHomonymous upper quadrantanoPiaHomonymous I ower quadrantanoPiaffo*orto"rno"s hemianopia with macular sparingHomonymous macular defect